A young patient presents with history of dysphagia more to liquid than solids. The first investigation you will do is -
1. Barium Swallow
2. Esophagoscopy
3. Ultrasound of the chest
4. C.T. Scan of the chest

Correct answer: 1. Barium Swallow